Which of the following is not spread by Aedes mosquito -
1. Dengue fever
2. Chickungunya
3. Japanese encephalitis
4. Yellow fever

Correct answer: 3. Japanese encephalitis

Explanation: Ans. is 'c' i.e., Japanese encephalitis